All of the following statements are true about congenital rubella except -
1. It is diagnosed when the infant has IgM antibodies at birth
2. It is diagnosed when IgG antibodies persist for more than 6 months
3. M.C congenital defects a re deafness, cardiac malformation and cataract
4. Infection after 16 weeks of gestation results in major congenital defects

Correct answer: 4. Infection after 16 weeks of gestation results in major congenital defects

Explanation: if rubella occurs in very early pregnancy the fetus may die. The congenital malformation is commonest during the first trimester (1st 12 wk) REF:ANANTHANARYANAN TEXTBOOK OF MICROBIOLOGY 9EDITION PGNO.555